Recurrent abortion in 1st trimester is most often due to.
1. Chromosomal abnormalities
2. Uterine anomaly
3. Hormonal disturbance
4. Infection

Correct answer: 1. Chromosomal abnormalities

Explanation: Ans. is a i.e. Chromosomal abnormalities Historically. recurrent pregnancy loss or "habitual abortion" was defined as 3 or more consecutive spontaneous miscarriages. Today, recurrent pregnancy is usually defined as 3 or more pregnancy losses (not necessarily cnnc,ecr_itive). Most obstetricians also consider clinical investigation and treatment should be considered in couples with ,,,,ntaneo-- miscarriages, especially when any of the following are present : Embryonic heart activity observed before any earlier pregnancy loss. Normal karyotype of products on conception from an earlier loss. Female partner age over 35 years. Infertility. cause rf recurrent abortions 1st trimester * Genetic factor / defective germplasm. Most common type of chromosomal abnormality is balanced translocation. 2nd trimester * Cervical incompetence